Which of the following if combined with rivastagmine,decreases its efficacy?
1. Selective serotonin reuptake inhibitors
2. Reversible inhibitor of MAO-A
3. Tricyclic antidepressants
4. Atypical antidepressants

Correct answer: 3. Tricyclic antidepressants

Explanation: *Rivastigmine is used in Alzheimer's disease. It inhibits acetylcholinesterase and increases the level of ACh. *Tricyclic antidepressants have strong anticholinergic actions.Therefore,these can reduce the efficacy of rivastigmine. Depression is commonly seen in patients with Alzheimer's disease. The anti-depressants that are used should have minimum anticholinergic activity, therefore SSRI or MAO-inhibitors are preferred. Ref: KATZUNG 14TH ED.